For complete veneer crown the functional bevel is placed:
1. At 45 degree to the long axis.
2. Parallel to cuspal inclination of opposite tooth.
3. Such that it forms an acute angle.
4. Parallel to inclination of the cuspal plane on which it rests.

Correct answer: 2. Parallel to cuspal inclination of opposite tooth.

Explanation: The angulation of the functional cusp bevel should be at 45° angle (AP - 11) to the long axis of the tooth for partial veneer crown (3/4th crown)
For complete veneer crown the angulation should be parallel to the inner inclines of the cusps of opposing tooth